Albumin and globulin are classified as:
1. Conjugate proteins
2. Secondary proteins
3. Simple globular proteins
4. Derived proteins

Correct answer: 3. Simple globular proteins

Explanation: Ans. C. Simple globular proteinsa. Proteins on the basis of solubility and physical properties divided into three classes:b. Simple proteins which on complete hydrolysis yield only amino acids. Ex. Albumins, Histones, Globulins, prolamines, Scleroproteins.c. Conjugate proteins which in addition to amino acids contain a non-protein part or prosthetic group. Ex. Nucleoproteins, Mucoprotein, Glycoproteins, Lipoproteins, Chromoprotein, Phosphoproteins.d. Derived proteins are the proteins formed from native protein by the action of heat, physical forces or chemical factors. Ex. Peptones, elastin, myosan.